which of the following is the marker of golgi apparatus
1. galactosyl transferase
2. glucose 6 phosphatase
3. acid phosphatase
4. pseudocatalase

Correct answer: 1. galactosyl transferase

Explanation: galactosyl transferase= golgi apparatus glucose 6 phosphatase=endoplasmic reticulum acid phosphatase = lysososmes pseudocatalase = peroxisomes ref : guyton and hall